All are required to diagnose major depression except
1. Depressed mood
2. Insomnia
3. Nihilistic Ideas
4. Decreased concentration

Correct answer: 3. Nihilistic Ideas

Explanation: Depression is a mental disorder characterized by group of symptoms The symptoms are characterized as major and minor symptoms MAJOR SYMPTOMS pervasive low mood Anhedonia ( loss of interest in previous pleasurable activities) Fatiguibility MINOR CRITERIA Hopelessness Inappropriate guilt Suicidal ideas Decreasedconcentration Loss of confidence and sence of inferiority Sleep disturbance Appetite disturbance Psychomotor inhibition These symptoms have to be present for a duration of 2 WEEKS